Phagocytosis of C. neoformans is inhibited by:
1. Cryptococcal capsular material
2. The size of the yeast cells
3. The cell walls
4. Toxins produced by the organism

Correct answer: 1. Cryptococcal capsular material

Explanation: Ans. is 'a' i.e., Cryptococcal Capsular material(Jagdish Chander Book of Mycology)Virulence factor of cryptococcus neoformans1. Polysaccharide capsule.2. Melanin production.Inhibits phagocytosis by WBC.Due to enzyme phenolic oxidase.